A neonate develops signs of meningitis at seven days of birth. The presence of which of the following infectious agent in the maternal genital tract can be the causative agent of this disease?
1. Neisseria gonorrhea
2. Chlamydia trachomatis
3. Streptococcus agalactiae
4. Haemophilus ducryi

Correct answer: 3. Streptococcus agalactiae

Explanation: (C) Streptococcus agalactiae